Which of the following is classic in proliferative diabetic retinopathy -
1. Soft exudates
2. Hard exudates
3. Neovascularization
4. Papilloedema

Correct answer: 3. Neovascularization

Explanation: Ans. is 'c' i.e., Neovascularization * The hallmark of PDR is the occurance of neovascularization over the changes of severe NPDR.Classification of Diabetic retinopathyNonproliferativeProliferativeA) Background retinopathy* Microaneurysm* Dot and blot hemorrhage (deep hemorrhage)* Hard exudate* Macular edema* Neovascularization of the disc (NVD)* Neovascularization elsewhere in the retina (NVE)* Vitreous hemorrhage* Fibrovascular proliferation* Traction retinal detachment* Iris surface neovascularization (rubeosis iridis or* neovascular glaucoma)B) Preproliferative retinopathy* Cotton-wool spots (soft exudates)* Venous beading* Extensive hemorrhage* Intraretinal intravascular abnormalities (IRMA)